Main mechanism in thermoregulation-heat loss is
1. Radiation
2. Evaporation
3. Conduction
4. Convection

Correct answer: 1. Radiation

Explanation: Heat is lost from the body mainly by radiation (60%), evaporation (22%) and Conduction (18%).